Selective medium for Pseudomonas:
1. Skirrow's medium
2. Regan Lowe medium
3. Cetrimide agar
4. Ashdown's medium

Correct answer: 3. Cetrimide agar

Explanation: Pseudomonas Resistant to many common antiseptics like quaternary ammonium compounds, chloroxylenol and hexachlorophene. Indeed selective media have been devised incorporating Dettol or cetrimide. Skirrow's medium is selective for Campylobacter. Regan Lowe medium is selective for Bordetella pertussis. Ashdown's medium is selective for Burkholderia pseudomallei.